Non Parametric tests among the following:
1. Mann Whitney test
2. Student t-test
3. Pearson correlation
4. ANOVA

Correct answer: 1. Mann Whitney test